Most common cause of Seizures in an elderly with Cerebrovascular Stroke is
1. Alcohol withdrawal
2. Cerebrovascular stroke
3. Uremia
4. Meningitis

Correct answer: 2. Cerebrovascular stroke

Explanation: (B) Cerebrovascular stroke # SEIZURE DISORDERS become increasingly common after the age of 60 years.> Seizures are associated with subdural hematoma, stroke, and CNS infection.> They also can occur with systemic metabolic conditions such as uremia, hyperglycemia, hypoglycemia, hyponatremia, and alcohol withdrawal.> Cerebrovascular stroke is the second common disease after heart disease and the most important cause of seizure in elderly.> Of the degenerative disorders, Alzheimer's dementia and amyloid angiopathy are known major causes of seizures> Certain drugs commonly prescribed to elderly people, such as tramadol, also reduce seizure threshold, and are best avoidec> Older people seem to be more susceptible to the epileptogenic effects of some other drugs, such as antipsychotics, antidepressants (particularly tricyclics), antibiotics, theophylline, levodopa, thiazide diuretics and even the herbal remedy, ginkgo biloba> Drugs for first-line monotherapy of seizures in elderly patients include carbamazepine, valproic acid, oxcarbazepine, gabapentin, and lamotrigine.